Intraepidermal blisters are seen in :
1. Bullous pemphigoid
2. Pemphigus folliaceous
3. Dermatitis berpeteformis
4. Bullous SLE

Correct answer: 2. Pemphigus folliaceous

Explanation: Ans: B (Pemphigus Folliaceous) Bullous impetigo is subcorneal disorder while Dermatitis berpetefortnis, Bullous SLE & Bullous pemphigoid are Dermo-epidermal Pemphigus group of diseases are an intra-epidermal bullous disorder- Neena Khanna lth/52Table (Neena Khanna): Classification of bullous disorders based on the level of bulla Classification of bullous disorder based on the level of bulla (Neema khanna) | | | |SubcornealBullous impetigoStaphylococcalScalded skin syndromeMiliaria crystallineSubcorneal pustular dermatosis Intra-epidermalEczemasViral infectionPemphigus groupEpidermolysisBullosa (some types) Demno-epidermal(Subepidermal)PemphigoidChronic bullous disease of childhoodDermatitis herpetiformisToxic epidermal necrolysisEpidermolysis bullosa (Some type)Bullous erythemaMultiforme Etilogieai classification of acquired subepidermal bullous diseases | | | | |Autoimmune Metabolic Toxic'Allergic OtherBullous pemphigoidCiaeatricial pemphigoidHerpes gestationisEpidermolysis bullosaAcquisita bullousSystemic lupus erythematosusDermatitis herpetiformisLinear IgA bullous dermatosis Porphyria cutanea tardaBullosis diabeticorumBullous amyloidosis PseudoporphyriaToxic epidermal necrolysisPhototoxic drug reactionFixed drug eruptionPressure necrosisThermal bumChemical bumBullous erythema multiforme Bullous lichen planusBullous sclerodermaSuction blisterEdema Blisters